Perinatal mortality rate includes
1. Deaths within first week of life
2. Abortions, Stillbirths, deaths within first week of life
3. Deaths within one month of life
4. Deaths from 28 weeks to with first week of life

Correct answer: 4. Deaths from 28 weeks to with first week of life